A 3-year-old girl came to the emergency after 2 h of ingestion of kerosene, immediate management is:
1. Gastric lavage
2. Chest X-ray and observation
3. Corticosteroids
4. Emetics are given

Correct answer: 2. Chest X-ray and observation

Explanation: Ans. Chest X-ray and observation